Maxillary artery develops from?
1. 1st arch
2. 2nd arch
3. 3rd arch
4. 4th arch

Correct answer: 1. 1st arch

Explanation: First pharyngeal arch is also called mandibular arch. Muscles-Temporalis,lateral pterygoid,medial pterygoid,masseter,mylohyoid,anterior belly of digastric,tensor tympani,tensor palati. Skeletal elements-Maxilla,premaxilla,zygomatic,temporal,meckels cartilage,malleus and incus Ligaments-Anterior ligament of malleus,sphenomandibular ligament Nerve-Mandibular nerve Artery-Maxillary artery